Indira Gandhi Matritva Sahyog Yojana is for -
1. >65 years old
2. >50 yearls old
3. 30 years old
4. >19 years old

Correct answer: 4. >19 years old

Explanation: parks textbook of preventive and social medicine 23rd edition *indira gandhi matrutva sahyog yojana(IGMSY),under which coditional cash trasfer will be made to pregnant and lactating mothers in order to improve their nutritional and health status .